Most accurate treatment of erectile dysfunction -
1. Sildenafil
2. Master and Johnson technique
3. Beta blockers
4. Papaverine

Correct answer: 1. Sildenafil

Explanation: Sildenafil is the DOC for erectile dysfunction.